Breast milk storage in a refrigerator is upto –
1. 4 hours
2. 8 hours
3. 12 hours
4. 24 hours

Correct answer: 4. 24 hours

Explanation: Breast milk

Can be stored at room temperature      —>   For 8-10 hours
In a refrigerator        —>            For 24 hours
In a freezer      —>      -20°' for 3 months